In Which year were powered toothbrushes invented?
1. 1921
2. 1929
3. 1939
4. 1941

Correct answer: 3. 1939